Dietary factors with increased risk of colon carcinoma
1. Red meat
2. Low fiber
3. High fat
4. All of the above

Correct answer: 4. All of the above